Typhoid revaccination is recommended very ___ years in endemic area -
1. 1
2. 3
3. 5
4. 10

Correct answer: 2. 3

Explanation: Vi polysaccharide vaccine:- Composed of purified Vi capsular polysaccharide from Ty2 S. Administration- subcutaneous/ intramuscularly. Age group more than 2 years. Only one dose required. Confers protection 7 days after injection. Efficacy-85% Duration of immunity-3yrs. To maintain protection,revaccination recommended every 3 years. {Reference: park's textbook of preventive and social medicine, 23rd edition, pg no.237}